Ventilation perfusion ratio is:
1. 0.5
2. 0.8
3. 1
4. 1.2

Correct answer: 2. 0.8

Explanation: On an average, ventilation perfusion ratio is 0.8. It can be as low as 0.6 at the base of the lung and can be 2.5 times the normal value at the apex of the lung.